The specific antagonist for benzodiazepine is -
1. Flumazenil
2. Alprazolam
3. Diisopropylphenol
4. Cremophor EL

Correct answer: 1. Flumazenil

Explanation: Flumazenil is a benzodiazepine analogue which competes with BZD agonists as well as inverse agonists for the BZD receptor and reverses their depressant or stimulant effects respectively.
 It also antagonizes the action of Zolpidem, Zopiclone and Zaleplon as these drugs also act on BZD site.